One of your patient who was diagnosed to have hypogonadism was found to have normal FSH and oestradiol levels. This patient belongs to which type as per the WHO classification of disorders of ovulation?
1. Type I
2. Type II
3. Type III
4. Type IV

Correct answer: 2. Type II

Explanation: WHO classification of disorder of ovulation is given below Type I - Hypogonadotropic hypogonadism, low FSH and LH, low oestradiol Type II - Normogonadotropic hypogonadism, normal FSH, normal oestradiol Type III - Hypergonadotropic hypogonadism, high FSH and LH, low oestradiol Ref: Essentials of Gynaecology by Lakshmi Seshadri, Edition 1, page - 274.